True about caput succedaneum is -
1. Crosses the suture lines
2. Always present at birth
3. Resolves in 24-48 hours
4. All of the above

Correct answer: 4. All of the above

Explanation: Ans. is 'd' i.e., All of the above * A caput succedaneum is an edema of the scalp at the neonate's presenting part of the head. It often appears over the vertex of the newborn's head as a result of pressure against the mother's cervix during labor. The edema in caput succedaneum crosses the suture lines 8c its always present at birth.* Caput succedaneum does not usually cause complications and usually resolves within 24-48 hours